Lisengang rings are present in
1. CEOT
2. OKC
3. CGCG
4. All of the above

Correct answer: 1. CEOT

Explanation: Calcifying Epithelial Odontogenic Tumor (Pindborg tumor) is a rare, benign odontogenic lesion. This is rare benign tumor which was first described in 1955 by Dutch pathologist Or J J Pindborg.